The following diagnostic tests are useful for corresponding purposes except
1. Ziehl-Neelsen staining - Detection of mycobacteria
2. Immunoflorescence - Detection of Influenza virus
3. Specific IgM antibodies - Immunity against Rubella
4. Specific IgM antibodies - Detection of acute infection

Correct answer: 3. Specific IgM antibodies - Immunity against Rubella

Explanation: IgM antibody appears following an acute infection. It is not specific for a disease. Ref: Baveja textbook of microbiology; 4th edition